Rigor mortis starts in -
1. Right Iliac
2. Left iliac fossa
3. Brain
4. Heart

Correct answer: 4. Heart

Explanation: Rigor mortis starts in myocardium in an hour after death. It is first seen in involuntary muscles then voluntary muscles. Dr. Narayana Reddys Synopsis of Forensic Medicine & Toxicology 27 th edition pg. 79.